Active method of transport is-
1. Simple diffusion
2. Facilitated diffusion
3. Along concentration gradient
4. Against concentration gradient

Correct answer: 4. Against concentration gradient

Explanation: Ans. is 'd' i.e., Against concentration gradient* Transport across a cell membrane is divided into passive or active, based on whether it is along the concentration gradient or against the concentration gradient.1) Passive transport# It is in the direction of concentration gradient i.e., "Downhill movement"# Does not require energy expenditure# Example are : -i) Without carriers : - Simple diffusion, osmosisii) Through carrier: - Facilitated diffusion2) Active transport# It is against the direction of concentration gradient, i.e., "Uphill movement".# Energy (e.g., ATP) is required# Carrier protein is required# Examples are primary active transport and secondary active transport.